Drug used in Benign Prostatic Hypertrophy is?
1. a1agonist
2. a1. antagonist
3. a2, agonist
4. a2 antagonist

Correct answer: 2. a1. antagonist

Explanation: ANSWER: (B) a, antagonistsREF: KDT 7th ed p-135, Goodman and Gillman's 11th ed page 172,173,183